Serum alpha feto protein level is raised in -a) Teratomab) Seminomac) Endodermal sinus tumord) HCG
1. a
2. bc
3. ad
4. ac

Correct answer: 4. ac

Explanation: Serum alpha feto proetin level is elevated in non seminomatous testicular tumors.
Non seminomatous testicular tumors include


Yolk sac or endodermal sinus tumor
Embryonal carcinoma
Teratomas


It is never elevated in seminomas. Presence of alpha feto protein rules out the diagnosis of seminomas.